Spirometry measures all of the following, except:
1. Tidal volume
2. Vital capacity
3. FEV
4. None of the above

Correct answer: 4. None of the above

Explanation: None of the above